Anopheles mosquito lays eggs in -
1. Clear water
2. Chlorinated water
3. Running water
4. Water logged dirty pools

Correct answer: 1. Clear water

Explanation: Anopheles mosquito: Causes malaria and filaria Breeding habitat: Clean water Eggs laid singly with boat-shaped lateral floats Larvae have no Siphon tube; rest parallel to the undersurface of water Pupae have a broad and short siphon tube Adults are inclined at an angle to the surface and with spotted wings Can fly 3-5 km Sophisticated mosquitoes Park's Textbook of Preventive and Social Medicine, 25th edition, Page No. 831